Which of the following is a Type 2 Hypersensitivity reaction?
1. Chronic Kidney Rejection episode
2. Autoimmune Hemolytic anaemia
3. Arthus reaction
4. Mitsuda reaction

Correct answer: 2. Autoimmune Hemolytic anaemia

Explanation: Ref: Robbins E-Book, P 135* Choice A is type of type 4 Hypersensitivity reaction.* Choice C is type of type 3 Hypersensitivity reaction.* Choice D is type of type 4 Hypersensitivity reaction.Examples of type ii hypersensitivityDiseaseTarget antigenMechanism of diseaseClinicopathologic ManifestationsAutoimmune hemolytic anemiaErythrocyte membrane proteins (Rh blood group antigens, I antigen)Opsonization And phagocytosis of erythrocytes, complement mediated lysisHemalysis, anemiaAutoimmune thrombocytopenic purpuraPlatelet membrane proteins (gplib-Illa integrin)Opsonization And phagocytosis of plateletsBleedingPemphigus vulgarisProteins in intercellular junctions of epidermal cells (desmoglein)Antibody mediated activation of proteases, disruption of intercellular adhesionsSkin vesicles (bullae)Vasculitis caused by ANCANeutrophil granule proteins, presumably released from activated neutrophilsNeutrophil degranulation and inflammationVasculitisGoodpastere's syndromeNon- ecellagerous NCl protein of basement membrane in glomeruli and lungComplement and Fc receptor mediated inflammationNephritis, lung hemorrhageAcute rheumatic feverStreptococcal cell wall antigen; antibody cross reacts with myocardial antigenInflammation, macrophage activationMyocarditis, arthritisMyasthenia gravisAcetylcholine receptorAntibody inhibits acetylcholine binding and down regulates the receptors.Muscle weakness, paralysisGraves' disease (hyperthyroidism)TSH receptorAntibody mediated stimulation of TSH receptorsHyperthyroidismPernicious anemiaIntrinsic factor of gastric parietal cellsNeutralization of intrinsic factor, decreased absorption of vitamin B12 Abnormal erythropoiesis, anemia